Biochemical oxygen demand is determined by
1. Oranic matter and bacteria
2. Oxygen content
3. Alage content in water
4. Agriculture fertiliser content in water.

Correct answer: 1. Oranic matter and bacteria

Explanation: Ans. is 'a' . Organic matter & Bacteria. "The strength of sewage is expressed in terms ofBiochemical oxygen demandChemical oxygen demandsSuspended solids demand""Biochemical Oxygen demand -It is the most important test done on sewage. It is defined as the amount of oxygen absorbed by a sample of sewage during a specified period, generally 5 days, at a specified temperature, generally 20 deg. G, for the aerobic destruction or use by organic matter and living organisms. BOD value ranges from about 1 mg per litre for natural waters to about 300 mg per litre for untreated domestic sewage. If the BOD is 300 mg/I and above, sewage is said to be strong ; if it is 100 mg/l, it is said to be weak."